Vibrating line is on the:
1. Junction of the hard and soft palate.
2. Hard palate.
3. The soft palate and palatine muscles.
4. Junction of muscularis uvulae.

Correct answer: 3. The soft palate and palatine muscles.

Explanation: The vibrating line marks the beginning of motion in soft palate, when the patient says ‘ah’ and it passes about 2 mm in front of fovea palatinae.
The vibrating line is always present on soft palate.